Nezelof s syndrome is recurrent episodes of ?
1. Appendicitis
2. Cholecystitis
3. Intestinal obstruction
4. Pneumonia

Correct answer: 4. Pneumonia

Explanation: Ans. is 'd' i.e., Pneumonia